Reinke's edema is seen in -
1. Vestibular folds
2. Edges of vocal cords
3. Between true & false vocal cords
4. In pyriform fossa

Correct answer: 2. Edges of vocal cords